Cause of death in organophosphorous poisoning is due to
1. Cardiac failure
2. Hepatic failure
3. Renal failure
4. Respiratory failure

Correct answer: 4. Respiratory failure

Explanation: The most common cause of death by organophosphate poisoning is respiratory impairment. Death usually occurs within the first 24 hours of ingestion in untreated cases.Krishan Vij textbook of forensic medicine and toxicology 5e pg: 533